Elgiloy is used in preparation of:
1. Vascular stent
2. Mesh
3. Bone plates
4. All of the above

Correct answer: 1. Vascular stent

Explanation: Self-expanding stents are deployed by retracting a restraining sheath. They usually consist of Elgiloy (a cobalt, chromium, nickel alloy) or nitinol (a shape memory alloy composed of nickel and titanium), the latter of which will contract and assume a heat-treated shape above a transition temperature that depends upon the composition of the alloy. Ref: Schwartz's principle of surgery 9th edition, chapter 23.